Drug of choice for pregnancy induced hypertension is:
1. Methyl dopa
2. Atenolol
3. Nitroprusside
4. Enalapril

Correct answer: 1. Methyl dopa

Explanation: Ans. (A) Methyl dopa(Ref: Goodman Gilman 12th/e p773, 774; Katzung 12th/e p176)Alpha methyl dopa is drug of choice for pregnancy induced hypertension. However, these days labetalol is preferred for this indication.